A farmer presents with pustules showing gram positive cocci, beta hemolysis, catalase negative. To show it is group A streptococci, which of the following test is done -
1. Bacitracin
2. Optochin
3. Novobiocin
4. Bile solubility

Correct answer: 1. Bacitracin